Posterior belly of digastric is attached to
1. Styloid
2. Hyoid
3. Mastoid notch
4. Thyroid

Correct answer: 3. Mastoid notch